True labour pain includes all except:
1. Painful uterine contraction
2. Short vagina
3. Formation of the bag of waters
4. Progressive descent of presenting part

Correct answer: 2. Short vagina

Explanation: Ans. is b, i.e. Short vaginaRef. Dutta Obs. 7/e, p 117Differences between true and false labour pains.FeaturesTrue labour painsFalse labour painsCervical changes (dilatation & effacement)PresentAbsentFrequency and duration of contractionsRegular and gradually increaseIrregularPainLower abdomen and back, radiating to thighsLower abdomen onlyBag of waterFormedNot formedShowPresentAbsentRelief with enema/sedationNoNo